Nerve involved in Arcade of Frohse ?
1. Median
2. Ulnar
3. PIN
4. Radial

Correct answer: 3. PIN

Explanation: Ans. is 'c' i.e., PIN